The dietary fats are transmitted from GIT to adipocytes in the form of -
1. Diacyl glycerol
2. Triacylglvcerol
3. Fatmisseles
4. Chylomicrons

Correct answer: 4. Chylomicrons

Explanation: Ans. is 'd' i.e., Chylomicrons Transport of dietary lipidso It is the transport of lipid from intestine to liveno Chylomicrons transport the dietry lipid front intestine to liver1'.o In diet the major lipids are triglyceride and cholesterol.o Cholesterol is absorbed as such in proximal small intestine and is esterified to cholesteryl ester (ChE). Triglycerides are hydrolysed by lipases to glycerol and fatty acids which are absorbed in intestine,o Inside intestinal cells triglyceride is synthesized by fatty acids. Chylomicrons are synthesized in the small intestine that contain triglyceride, cholesteryl ester, cholesterol, phosphlipids, and apoprotein B-48 (apo B-48) and apo-A.o These chylomicrons are secreted in the intestinal lymph and reach the systemic circulation via thoracic duct,o In the circulation apo E and apo C are transfered to chylomicrons by HDL, so now chylomicrons contain apo A, apo B-48, apo- E, & apo-C.o In the circulation, triglycerides of chylomicrons are hydrolysed by lipoprotein lipase (LPL) present on endothelial cells of vessels of skeletal muscles, adipose tissue and heart, but not in liver.o The released fatty acids are utilized locally by these tissues.o Adipose tissue uses these fatty acids to restore them as TGs and heart and skeletal muscle use them as source of energy.o Thus, function of chylomicrons is to transport exogenous (dietryjtriglyceride0 to adipose tissue (for storage), heart (for energy) and muscle (for energy').o The chylomicron particle progressively shrinks in size by action of LPL and, cholesterol, phospholipids, apo-A and apo C are transferred to HDL, creating chylomicron remnants that contains more cholesterol, less triglycerides, apo-E & apo B-48.o Chylomicron remnants are removed by liver by the LDL receptors that require apo-E as ligand.o VLDL carries endogenous triglycerides (triglycerides from liver to extrahepatic tissues).o Chylomicrons carry exogenous (dietiy) triglycerides to extrahepatic tissues and remaining triglyceride to liver through chylomicron remnants.Transport of lipidso There are two pathways of lipid transport in the body -1. Transport of dietry lipid (Exogenous pathway)o It is the transport of lipid from intestine to liver.o Chylomicrons transport the dietry lipid from intestine to liverr.o In diet the major lipids are triglyceride and cholesterol.o Cholesterol is absorbed as such in proximal small intestine and is esterified to cholestery! ester (ChE). Triglycerides are hydrolysed by lipases to glycerol and fatty acids which are absorbed in intestine.o Inside intestinal cells triglyceride is synthesized by fatty acids. Chylomicrons are synthesized in the small intestine that contain triglyceride, cholesteryl ester, cholesterol, phosphlipids, and apoprotein B-48 (apo B-48) and apo-A.o These chylomicrons are secreted in the intestinal lymph and reach the systemic circulation via thoracic duct.o In the circulation apo E and apo C are transfered to chylomicrons by HDL, so now chylomicrons contain apo A, apo B-48, apo- E, & apo-C.o In the circulation, triglycerides of chylomicrons are hydrolysed by lipoprotein lipase (LPL) present on endothelial cells of vessels of skeletal muscles, adipose tissue and heart, but not in liver.o The released fatty acids are utilized locally by these tissues.o Adipose tissue uses these fatty acids to restore them as TGs and heart and skeletal muscle use them as source of energy.o Thus, function of chylomicrons is to transport exogenous (dietry)triglyceriderto adipose tissue (for storage), heart (for energy) and muscle (for energy).o The chylomicron particle progressively shrinks in size by action of LPL and, cholesterol, phospholipids, apo-A and apo C are transferred to HDL, creating chylomicron remnants that contains more cholesterol, less triglycerides, apo-E & apo B-48.o Chylomicron remnants are removed by liver bv the LDL receptors that require apo-E as ligand.2. Transport of Hepatic lipids (Endogenous pathway)o VLDL is synthesized in liver that contains high triglyceride, ChE, cholesterol, phospholipid and Apo B-100. (VLDL particles resemble chylomicrones in composition except that VLDL contains Apo B-100 instead of Apo B-48).o VLDL particles are secreted in the plasma and as with chylomicron, Apo E and Apo C are transferred from HDL to VLDL. Now VLDL contains Apo B-100, Apo E and Apo C.o In plasma, triglycerides of VLDL are hydrolysed by same lipoprotein lipase (see above) and apo C is transferred to HDL and the remmants are called IDL.o 40-60% of IDL is removed by liver via LDL receptor mediated endocytosis, this process require Apo E which acts as ligand for LDL receptors.o Remaining IDL is remodeled by hepatic lipase which hydrolyzes more triglyceride to form LDL that contains maximum cholesterol.o 70% of LDL is removed by liver via LDL receptor and 30% is utilized by peripheral tissues as a source of cholesterol.